Histogram is a
1. Pie diagram
2. Bar diagram
3. Frequency polygon
4. Line diagram

Correct answer: 2. Bar diagram